Neuroblastoma in children is characterized by all except
1. Proptosis
2. Hypertension
3. Hepatomegaly
4. Cafe au lait spots

Correct answer: 4. Cafe au lait spots

Explanation: Neuroblastomas are the most common tumor of early childhood. It generally occurs in children < 5 years of age. The adrenal medulla is the typical site for a neuroblastoma. Neuroblastomas tend to metastasize widely and early. Hepatic metastasis presents as hepatomegaly. Orbits are other frequent sites of metastasis leads to proptosis, periorbital swelling/ecchymosis.